Last step in fracture healing is:
1. Haematoma
2. Callus formation
3. Remodeling
4. Consolidation

Correct answer: 3. Remodeling

Explanation: C i.e. Remodeling